During TURP, surgeon takes care to dissect above the verumontonum to prevent injury to
1. External Urethral Sphincter
2. Urethral crest
3. Prostatic Utricle
4. Trigone of bladder

Correct answer: 1. External Urethral Sphincter

Explanation: Damage to the external sphincter is avoided provided one uses the verumontanum as a guide to the most distal point of the resection. Reference : page1351 Bailey and Love's short practice of surgery 25th edition